AA Direc acting cholinometic that is lipid soluble and has been used in the treatment of glaucoma is
1. Acetylcholine
2. Physostigmine
3. Pilocarpine
4. Neostigmine

Correct answer: 3. Pilocarpine

Explanation: Ref-KDT 6/e p98 Pilocarpine is a directly acting and physostigmine is an indirectly acting cholinomimetic useful for glaucoma